U/L injury to hypoglossal nerve leads to all except
1. Hemiatrophy of involved side
2. Deviation of tongue towards the same side
3. Loss of taste sensation in opposite half of the tongue
4. Fasciculatioin of the tongue

Correct answer: 3. Loss of taste sensation in opposite half of the tongue

Explanation: Loss of taste sensation in opposite half of the tongue